An ideal subcenter for a rural population should cater a population of:
1. 1000
2. 2000
3. 5000
4. 10000

Correct answer: 3. 5000

Explanation: 5000